Injury to which of the following muscle may lead to urinary incontinence along with cystocele, rectocele and Prolapse of uterus
1. Ischiocavernosus
2. Pubococcygeus
3. Bulbospongiosus
4. Urethral and anal sphincter

Correct answer: 2. Pubococcygeus

Explanation: Pubococcygeus is a part of pelvic diaphragm Pelvic diaphragm - Mainly constituted by Levator ani muscles (Pubococcygeus, iliococcygeus) & Ischio-coccygeus, which supports pelvic viscera so Injury to pubococcygeus muscle may lead to urinary incontinence along with cystocele, rectocele and Prolapse of uterus